What is true about ischiorectal fossa -
1. Apex is formed by obturator internus
2. Levator ani forms the roof
3. Lateral wall is formed by inferior pubic ramus
4. Communicates with the other side posteriorly

Correct answer: 4. Communicates with the other side posteriorly

Explanation: There is communication posteriorly between two Ischiorectal fossae, behind the anal canal.